Which is not a feature of benign hypertension in Kidney-
1. Hyaline arteriosclerosis
2. Interstitial lobular fibrosis
3. Medial hypertrophy of small vessels
4. Fibrinoid necrosis

Correct answer: 4. Fibrinoid necrosis